Yellow fever aedes agypti index should be ?
1. <1%
2. < 5%
3. <10%
4. < 20%

Correct answer: 1. <1%

Explanation: Ans. is 'a' i.e., < 1%